Premedication is prescribed to – a) Allay anxietyb) Make the patient asleep before coming for operationc) Reduce the dose of induction agentsd) Produce amnesia
1. acd
2. ad
3. bc
4. bde

Correct answer: 1. acd